Which of the following statements is true about BCG vaccination:
1. Distilled water is used as diluent for BCG vaccine
2. The site for injection should be cleaned thoroughly with spirit
3. Mautoux test becomes positive after 48 hours of vaccination
4. WHO recommends Danish 1331 strain for vaccine production

Correct answer: 4. WHO recommends Danish 1331 strain for vaccine production

Explanation: WHO recommends Danish 1331 strain for vaccine production Repeat from May 2005, Nov 2008 WHO has recommended the 'Danish 1331' Strain .for the production of BCG vaccine and since 1967, the BCG laboratory of Guindy*, Chennai is using 'Danish 1331' Strain. for the production of BCG vaccine. Normal Saline is recommended as diluent for BCG vaccine. The reconstituted vaccine should be used within 3 hours and left over vaccine should be discarded. The Vaccine must not be contaminated with any antiseptic or detergent. If alcohol is used to swab the skin, it must be allowed to evaporate before the vaccine is given. Mantoux test normally because positive after 8 weeks of vaccination, but sometimes it takes about 14 weeks. Other important points about BCG Vaccination There are two types of BCG vaccine - the liquid (fresh) vaccine and the freeze - dried vaccine. Presently freeze -dried vaccines being more stable are used. Storage : BCG vaccines are stable for several weeks at ambient temp in a tropical climate, and for up to 1 years if kept away from direct light and stored in a cool environment. The vaccine must be protected from exposure to light during storage (wrapped up in double layers of red or black cloth). Dosage : - Usual strength is 0.1 mg in 0.1 ml volume - Dose to newborn aged below 4 weeks is 0.05 ml Administration: - Intradermal* with tuberculin syringe. Site of injection: - Just above the insertion of the deltoid muscle. Age of administration: - Either at birth or at 6 weeks of age simultaneously with DFT and polio. Duration of protection: - 15 to 20 years. Booster: - Not advised under Expanded Programme of Immunization. Contraindications: - Unless specifically indicated, BCG should not be given to patients suffering from*. - Generalized eczema* - Infective dermatosis* - Hypogammaglobulinaemia* - Patient with history of deficient immunity*. Phenomenon after vaccination* - A papule develops at the site of inj 2 to 3 weeks after vaccination. - It increases in size and reaches a diameter of 4 to 8 mm in about 5 weeks. - The papule then ulcerates - Healing occurs spontaneously to leave a tiny scar (4 to 8 mm in diameter) within 6 to 12 weeks.